In dark adaptation, there occurs
1. Decreased perception of vision
2. Decreased visual acuity
3. Pupillary dilatation
4. Breakdown rhodopsin

Correct answer: 3. Pupillary dilatation

Explanation: Dark adaptation The physical and chemical adjustments of the eye, including dilation of the pupil and increased activity of rods in the retina, that make vision possible in relative darkness.Ref: Ganong's review of medical physiology, 23rd edition Page no: 171